4050 births in a year in a city out of which 50 were still births. 50 died in first 7 days while another 150 died in first 28 days. What is the Neonatal mortality rate of the city?
1. 0.5
2. 0.625
3. 0.05
4. 0.125

Correct answer: 3. 0.05